All of the following are muscles of nose except
1. Procerus
2. Compressor naris
3. Depressor septi
4. Angularisoris

Correct answer: 4. Angularisoris

Explanation: Ans. is 'd' i.e., AngularisorisMuscles of nose :- Procerus, compressor naris, dilator naris, depressor septi.Muscles around mouth :- Orbicularis oris, buccinator, levatorlabii superioris alaque nasi, zygomaticus major, levatorlabii superioris, levatorangulioris, zygomaticus minor, depressor angulioris, depressor labiiinferioris, metalis, risorius.